TRUE/FALSE about risk factor of carcinoma breast: 1. Nulliparity 2. Multiparity 3. BRCA1 mutation 4. Family history
1. 1,2,3 true & 4 false
2. 1 false & 2,3,4 true
3. 1,3,4 true & 2 false
4. All are true

Correct answer: 3. 1,3,4 true & 2 false

Explanation: "Multiparity is not a risk factor for CA breast". Magnitude of Known Breast Cancer Risk Factors Relative risk<2 Relative risk 2-4 Relative risk>4 Early menarche One-first degree relative with breast cancer Mutation BRCA 1 or BRCA 2 Late menopause CHEK2 mutation LCIS Nulliparity Age >35 at first birth Atypical hyperplasia Estrogen plus progesterone Proliferative breast disease Radiation exposure 40 HRT Mammographic breast density Alcohol use Postmenopausal obesity HRT, hormone replacement therapy; LCIS, lobular carcinoma in situ Risk Factor For Breast Cancer Factor important in population Age at menarche Parity Age at first Birth Breast- feeding Exogenous hormone use or exposure Alcohol consumption Factor important in individual Patients Gender ( F>>M) Age ( steady increase with age Family history ( mothers, sisters, daughters) History of previous breast cancer ( noninvasive or invasive, ipsilateral or contralateral) Histological risk factor Proliferative breast disease Atypical ductal hyperplasia (ADH) Atypical Lobular hyperplasia (ALH) Lobular carcinoma in situ (LCIS) Ref: Schwartz 9/e page 437 ; sabiston 18/e page 862.